Which one of the following is a multipennate muscle?
1. Tibialis anterior
2. Deltoid
3. Tibialis posterior
4. Latissimus dorsi

Correct answer: 2. Deltoid

Explanation: Ans. B DeltoidRef: Gray's Anatomy, 41st ed. pg. 113Unipennate* Extensor digitorum longus* Flexor pollicis longus* SoleusBipennate* Rectus femoris* Dorsal interossei* GastrocnemiusMultipennate* DeltoidCircumpennate* Tibialis anterior